True statement about orbital articulation is
1. Medial wall of orbit and floor formed by sphenoid bone
2. Great wing of sphenoid contribute to floor
3. Body of sphenoid form the Lateral wall of orbit
4. Inferior orbital fissure is formed between the lateral wall and the floor of orbit.

Correct answer: 4. Inferior orbital fissure is formed between the lateral wall and the floor of orbit.

Explanation: Inferior orbital fissure is formed between lateral wall and floor of orbit. Floor Orbital surface of body of Maxilla, Zygomatic bone and Palantine bone (MAX-ZIP) Medial wall Body of Sphenoid, Ethmoid, Lacrimal bone, Maxilla Lateral wall Greater wing of Sphenoid and Zygomatic bone Roof Frontal bone, lesser wing of Sphenoid